Nail is involved in:
1. Psoriasis
2. Lichen planus
3. Fungal infection
4. All

Correct answer: 4. All

Explanation: A i.e., Psoriasis B Lichen planus C i.e., Fungal infection